Bile acid has a detergent action due to ?
1. Formation of soap
2. Formation of zwitter ion
3. Amphipathic nature of bile salts
4. Formation of medium chain triglycerides

Correct answer: 3. Amphipathic nature of bile salts

Explanation: Ans. is c i.e., Amphipathic nature of bile acids Bile-salts help in digestion of fat by emulsification of fat in small intestine by detergent action of bile salts. The detergent action of bile salts is due to their amphipathic property. Emulsification increases the surface to volume ratio of the lipid droplets facilitating the action of lipases. Bile salts also help in formation of micelles. Micellar formation solubilizes the digested fats and provides a mechanism of their absorption into the enterocytes.